Von Herick angle grade '3' of anterior chamber denotes
1. Wide open angle
2. Moderately open angle
3. Moderately narrow angle
4. Closed angle

Correct answer: 2. Moderately open angle

Explanation: Ans. is 'b' i.e., Moderately open angle